Most appropriate drug used in the management of chelating iron in beta thalassemia major is
1. Oral desferrioxamine
2. Oral deferiprone
3. Intra muscular EDTA
4. Oral succimer

Correct answer: 2. Oral deferiprone

Explanation: Deferiprone and Deferasirox are oral chelators used for beta-thalassaemia. Reference : Medicine, Prep Manual for UG, George Mathew, 5th Edition, page no : 33.